Pelkan's spur is seen in?
1. Rickets
2. Hypopituitarism
3. Scurvy
4. Hypothyroidism

Correct answer: 3. Scurvy

Explanation: Severe vitamin C deficiency causes scurvy. The usual age of onset is 6 to 18 months. Pseudoparalysis is commonly seen. Hemorrhages occur under the periosteum of long bones. Gum bleeds are common. Costochondral junctions become prominent and appears sharp and angular. Scorbutic rosary is attributed to the separation of epiphysis of ribs and backward displacement of sternum. Diagnosis is based on radiological features. Bone assumes a ground glass appearance with a pencil thin cortex. Metaphyses demonstrates a zone of well calcified cartilage referred to as white line of frenkel. Pelkan's spur is one of the radiological lines seen in scurvy. It is a bone spur from the lateral border of metaphysis. Epiphyseal centers of ossification are surrounded by a white ring called Weinberger's sign. Ref: Textbook of Orthopedics, 4th Edition By John Ebnezar, Page 539; O.P.Ghai, 6th Ed, Page 127.